All of the following drugs are useful for long-term treatment of congestive heart failure except:
1. Digoxin
2. Ramipril
3. Dobutamine
4. Spironolactone

Correct answer: 3. Dobutamine

Explanation: Dobutamine is indicated only for the acute t/t of decompensated CHF. Cardiac glycosides (digoxin) can be used for acute treatment as well as maintenance therapy of CHF. ACE inhibitors and spironolactone are indicated only for chronic CHF.